In a child who has been raped hymen:
1. Will be intact because it is elastic
2. Will be intact because it is deep situated
3. Will be perforated because very thin
4. Will be perforated because superficial

Correct answer: 2. Will be intact because it is deep situated

Explanation: In case of rape on small children,hymen is usually intact, since it is deeply situated. In children, the hymen is deeply situated, and as the vagina is very small, it is impossible for the penetration of the adult organ to take place. In children, there are a few or no signs of general violence, as the child is unaware of the assault and incapable of resisting. A few indicators for routine enquiry are pain on urination and/or defecation, abdominal pain, inability to sleep, sudden withdrawal from peers/adults, feelings of anxiety, nervousness, helplessness, weight loss, and feelings of ending one's life.